Causative agent of syphilis-
1. Treponema pertunae
2. Treponema endemicum
3. Treponema corateum
4. Treponema pallidum

Correct answer: 4. Treponema pallidum

Explanation: Ans. is 'd' i.e., Treponema pallidum SpirocheteSpeciesDiseaseTreponemaPallidumEndemic umPertunaeCarateumSyphilisBejelYawsPintaBorretiaBurgdorferiRecurrentisVincentiLyme diseaseRelapsing feverVincent anginaLeptospiraInterrogansWeil's disease